Which of the following biologic agent approved for treatment of psoriasis or psoriatic arthritis is not anti-TNF-a?
1. Etanercept
2. Alefacept
3. Infliximab
4. Adalimumab

Correct answer: 2. Alefacept

Explanation: BIOLOGICS APPROVED FOR PSORIASIS(Ps) OR PSORIATIC ARTHRITIS(PsA) Anti TNF- a Etanercept Adalimumab Infliximab Alefacept -Anti-CD-2 (fusion protein against LFA-3) Other TNF alpha inhibitors -ACE In Goli:A- AdalimumabC- CertolizumabE- EtanerceptIn- InfliximabGoli- Golimumab"